Which of the following drugs is not used in treatment of multibacillary leprosy as per recommendation of WHO?
1. Rifampicin
2. Clofazimine
3. Dapsone
4. Minocycline

Correct answer: 4. Minocycline

Explanation: WHO recommends the following drugs for treatment of multibacillary leprosy Rifampicin: 600 mg once monthly Dapsone: 100 mg daily Clofazimine: 300 mg once monthly supervised; and 50 mg daily, self administered. Ref: Park 21st edition, page 297.